If a neonate has warm abdomen, but cold extremities then the baby has?
1. Normal body temperature
2. Severe Hypothermia
3. Cold stress
4. Shock

Correct answer: 3. Cold stress

Explanation: Diagnosis of hypothermia by human touch: Trunk Extremities Interpretation Warm Warm Normal Warm Cold Cold stress Cold Cold Hypothermia